True about national population policy 2000:
1. Reduce MMR to < 30/10,000 live births
2. Reduce IMR to < 100/10,000 live births
3. 100% birth and death registration
4. 100% institutional deliveries

Correct answer: 3. 100% birth and death registration

Explanation: Ans. (c) 100% birth and death registrationRef.: K Park 23rd ed. / 493-94* National Population Policy 2000# Address the unmet needs for basic reproductive and child health services, supplies and infrastructure# Make school education up to age 14 free and compulsory, and reduce drop outs at primary and secondary school levels to <20% for both boys and girls# Reduce IMR to < 30 per 1000 live births# Reduce MMR to <100 per 100,000 live births# Achieve universal immunization of children against all VPDs# Promote delayed marriage for girls (not <18y and preferably >20y)# Achieve 80% institutional deliveries and 100% by trained persons# Achieve universal access to information /counseling, and services for fertility regulation and contraception with a wide basket of choice# Achieve 100% registration of birth, deaths, marriage & pregnancy# Contain the spread of AIDS, and promote greater integration between the management of RTI and STI and the NACO.